Which of the following malignancies is not associated with cigarette smoking?
1. Acute myeloid leukemia
2. Cervix
3. Pancreas
4. Postmenopausal breast cancer

Correct answer: 4. Postmenopausal breast cancer

Explanation: Tobacco smoking associated cancers: Lung, oral cavity, naso-, oro-, and hypopharynx, nasal cavity and paranasal sinuses, larynx; esophagus, stomach, pancreas, liver, kidney (body and pelvis), ureter, urinary bladder, and uterine cervix and also causes myeloid leukemia. Play a role in increasing the risk of colorectal, hepatocellular, and possibly premenopausal breast cancer. There is no association with postmenopausal breast cancer. Ref: Burns D.M. (2012). Chapter 395. Nicotine Addiction. In D.L. Longo, A.S. Fauci, D.L. Kasper, S.L. Hauser, J.L. Jameson, J. Loscalzo (Eds), Harrison's Principles of Internal Medicine, 18e.